A young lady presents to your office with compalin of copious vagina discharge, but there is no cervical discharge on per speculum examination. which of the following should be given for the management?
1. Metronidazole and azithromycin
2. Metronidazole and doxycycline
3. Flacon only
4. Metronidazole and fluconazole

Correct answer: 4. Metronidazole and fluconazole

Explanation: Metronidazole 200mg 3 doses /day for 7days 
A single dose of fluconazole 150mg is very effective.